Depolarization of cochlea due to:
1. Potassium influx
2. Potassium efflux
3. Sodium influx
4. Sodium efflux

Correct answer: 1. Potassium influx

Explanation: Ans: A (Potassium influx) Ref: Diseases of the Ear Nose and Throat by PE Dhingra 5th edn. 2010. Page 13 and 19Explanation:There exists a potential difference approx (125mv) between the K+ rich endolymph (+80mv) and the inner hair cells (-45mv).When the ion channels of the hair cells open, K+ is driven into the hair cells because of this potential difference and causes depolarization.This mechanism helps covert the mechanical energy of sound into electrical impulses.This gradient and energy for transduction is provided by the Na+/K+ ATPase pump in the stria vascularis.